Hangman's fracture is ?
1. Subluxation of C5 over C6
2. Fracture dislocation of C2
3. Fracture dislocation of ankle joint
4. Fracture of odontoid

Correct answer: 2. Fracture dislocation of C2

Explanation: Ans. is 'b' i.e., Fracture dislocation of C2 Hangman's fracture Hangman's fracture is bilateral fracture of the pars interarticularis of axis (C2) with traumatic spondylolisthesis of axis (C2) over C3 vertebrae. Thus Hangman's fracture is not simply a fracture, but fracture dislocation of axis (C2). The mechanism of injury is extension with distraction (in true, judicial hangman's fracture) and hyper-extension, axial compression &. flexion (in civilian injuries, which are now more common). It is second most common type of Axis (C2) fracture, second only to odontoid fractures. Fatalaties are common, However, neurological deficit is unusual as the fracture of posterior arch decompress the spinal cord. Most of the fatalities occur at the scene of injury, acute post admission mortality is low. Successful healing of C2 traumatic spondylolishesis is reported to approach 95%. This is most commonly achieved with non-operative measures, even in the presence of displacement of pars inter-articularis. Undisplaced fractures are treated in a semi-rigid orthosis, and displaced fracture are closed reduced & treated with halo-vest. Occasionally, the hangman's fracture is associated with a C2/3 facet dislocation. This is a severely unstable injury; open reduction and stabilization is required.